A 19-year-old girl with painless ulcer in labia majora with rolled out margin :
1. Treponema pallidum
2. Chlamydia
3. Gonorrhoea
4. Herpes genital ulcer disease

Correct answer: 1. Treponema pallidum

Explanation: syphilis Caused by Treponema pallidum classic lesion designated as chancre appears in 9-90 days from first exposure The macular lesions become papular and then ulcerates.The ulcer is painless and firm,with a punched out base,and rolled edges. SHAW'S TEXTBOOK OF GYNAECOLOGY,Pg no:142,15th edition